Hysteroscopy means visualization of :
1. Genital tract
2. Fallopian tube
3. Uterine cavity
4. Cervix

Correct answer: 3. Uterine cavity

Explanation: Uterine cavity